In severe hypospadias the possibility of an intersex problem is settled by -
1. Careful inspection of genitals
2. Biopsy for gonadal tissue
3. Karyotyping
4. Hormone assay

Correct answer: 3. Karyotyping